Effect of environment on genes is called-
1. Positive Eugenics
2. Negative Eugenics
3. Euthenics
4. Enthenics

Correct answer: 3. Euthenics

Explanation: Ans. is 'c' i.e., Euthenics